The Gene present in theca cell and absent in granulosa cell which enables theca cell to produce androgens:
1. CYP17 gene
2. CYP12 gene
3. p53
4. KRAS

Correct answer: 1. CYP17 gene

Explanation: Ans. is a, i.e. CYP 17 geneRef: Williams Gynae 3rd/ed, p350"Theca cells express all of the enzymes needed to produce androstenedione. Tins includes high levels of CYP17 gene expression, whose enzyme product catalyzes 17-hydroxylation. This is the rate limiting step in the conversion of progesterone to androgens."